Anterior diaphragnatic hernia is through ?
1. Oesophageal opening
2. Paraesophageal opening
3. Foramen of morgagni
4. None

Correct answer: 3. Foramen of morgagni

Explanation: Ans. is 'c' i.e., Foramen of morgagni Diaphragmatic hernia 1. Congenital Posterolateral costo-vertebral hernia through pleuro- peritoneal hiatus ie. foramen of Bochdalek. It is most common type of congenital diaphragmatic hernia. More common on left side. Retrosternal or anterior costo-sternal hernia through foramen of Morgagni or space of Larrey. It is more common on right side. Posterior hernia due to failure of development of posterior part of diaphragm, so that the aorta and oesophagus lie in the gap. Central hernia due to rupture of fetal membranous diaphragm in left dome. Although being rare, it more commonly involves left side. Through oesophageal opening. 2. Acquired Acquired sliding hiatus hernia is most common type of diaphragmatic hernia. It may be through Oesophageal opening. Paraoesophageal.